True regarding elastic cartilage are all EXCEPT:
1. Made up of yellow elastic fibres
2. More pliable
3. Highly vascular
4. Found in inlet of larynx

Correct answer: 3. Highly vascular

Explanation: Ans. C i.e. Highly vascularCartilage has no blood vessels, lymphatics or nerves